True statements about lower one fourth of anterior abdominal wall except
1. Linea Alba is poorly formed
2. Two layers of rectus sheath present
3. Only anterior layer of rectus sheath present
4. External oblique muscle well formed and strong

Correct answer: 2. Two layers of rectus sheath present

Explanation: In lower one fourh , linea alba is not well formed. Both left and recti are close. Only anterior sheath of rectus is present. External oblique is well formed and strong Ref - BDC 6e vol2 pg 196